Ligamentum teres is formed after
1. Obliteration of the umbilical vein
2. Obliteration of the ductus venous
3. Obliteration of the ductus arteriosus
4. Obliteration of the hypogastric artery

Correct answer: 1. Obliteration of the umbilical vein

Explanation: Umbilical vein closure occurs shortly after closure of umbilical arteries and forms the ligamentum teres.